An upward dislocation of both the cardia and gastric fundus is which type of hiatal hernia?
1. I
2. II
3. III
4. IV

Correct answer: 3. III

Explanation: Types of hiatus hernia Type I Type II Type III Type IV Known as Sliding hernia Rolling / true PEH Mixed PEH PEH with Herniation of another intra-abdominal organ Incidence M/C - M/C PEH - Thorax GE Juncn Fundus GE Juncn + Fundus Intra-abdominal organ Symptoms Reflux Abd Pain(Due to Ischemia) Reflux + Abd pain Abd pain | Risk of strangulation